Which of the following is the least likely cause of indoor air pollution?
1. Carbon monoxide
2. Nitrogendioxide
3. Radon
4. Mercury vapour

Correct answer: 4. Mercury vapour

Explanation: Sources of indoor air pollutants include respirable particles, carbon monoxide, nitrogen dioxide, sulphur dioxide, carbon dioxide, formaldehyde, organic vapours, ozone, radon, asbestos and mineral fibres. Mercury vapour is the least likely cause of indoor air pollution. Ref: Preventive and Social Medicine, By K.Park, 19th edition, Page 592, 593; Harrison's Principle of Internal Medicine, 16th edition, Page 1528; Health Effects Of Ambient Air Pollution: How safe is the air we breathe?, By Jane Q. Koenig, 2000 Kluwer Academic Publishers, Page 36